Which of the following has most potent analgesic effect?
1. Morphine
2. Fentanyl
3. Sufentanil
4. Meperidine

Correct answer: 3. Sufentanil

Explanation: Sufentanil is most potent analgesic. It is 1000 times more potent than morphine. Fentanyl is 100 times more potent than morphine. Meperidine is less potent than Morphine but its analgesic efficacy is about same.